Anti-glaucoma drug that acts by increasing uveoscleral outflow is
1. Latanoprost
2. Timolol
3. Pilocarpine
4. Dorzolamide

Correct answer: 1. Latanoprost

Explanation: Mode of ocular hypotensive Drug/Class Aqueous secretion Trabecular outflow Uveoscleral outflow b-blockers (Timolol) | - - Adrenaline/Dipivefrine | | | Brimonidine/appracionidine | - | Prostaglandins (Latanoprost) - | | Miotics (Pilocarpine) - | - Carbonic anhydrase inhibitors (Dorzolamide) | - -